Which ligament connects the cervix and the fornix to the lateral wall of the pelvis?
1. Transverse Cervical Ligament
2. Broad ligament
3. Uteroscaral ligamemnts
4. Round Ligaments

Correct answer: 1. Transverse Cervical Ligament

Explanation: Ans. is 'a' i.e., Transverse cervical ligament * Transverse cervical ligaments of Mackenrodt are fan-shaped condensation of endopelvic fascia on each side of cervix above the levator ani and around uterine vessels.* They connect lateral aspect of cervix and upper vaginal wall to lateral pelvic wall.* They form a 'hammock9 that supports the uterus.